True regarding anaemia of chronic ds. are --A/E ?
1. Decreased TIBC
2. Increased macrophage iron in marrow
3. Decrease serum ferritin level
4. Decreased serum iron levels

Correct answer: 3. Decrease serum ferritin level

Explanation: Ans. is 'c' i.e., Decreased serum ferritin level